All the following diseases are associated with HLA B-27 & Uveitis, except:
1. Behcet's syndrome
2. Psoriasis
3. Ankylosing Spondylitis
4. Reiter's syndrome

Correct answer: 1. Behcet's syndrome

Explanation: Behcet's syndrome is associated with HLA- B5 and HLA-B51. Triad of uveitis, genital ulcers and oral aphthous ulcers.Conditions associated with HLA B27 include:Ankylosing spondylitisReiter's syndromeReactive arthritisPsoriatic arthritisJuvenile rheumatoid arthritisAcute anterior uveitisRef: Harrison's 18/e p2801, 17/e p2132